Major neurotransmitter in afferents in nucleus tractus solitarius to regulate cardiovascular system ?
1. Serotoxin
2. Glutamate
3. Glycine
4. Norepinephrine

Correct answer: 2. Glutamate

Explanation: Ans. is 'b' i.e., GlutamateNucleus tractus solitarius (NTS) lies in medulla.It receives following afferents :?A) General visceral afferentsi) From tonsil, pharynx, posterior part of tongue, carotid body and sinus - through glossopharyngeal nerve.ii) From pharynx, larynx, trachea, esophagus, and other thoracic and abdominal viscera - through vagus nerve.B) Special visceral afferentsi) From anterior 2/3 of tongue (except circumvallate papillae) and palate - through facial nerveii) From posterior 1/3 of tongue (including circumvallate papillae) - through glossopharyngeal nerve.iii) From posterior most part of tongue and epiglottis - through vagus nerve.NTS is involved in regulation of cardiovascular system through baroreceptors and chemoreceptors.There is a general consensus that glutamate is the neurotransmitter released at the therminals of baroreceptor and chemoreceptor afferents in NTS. -- However, cholinergic, GABAergic, and opioidergic mechanisms are also present in NTS.